Which of the following statements regarding formal thought disorder is true?
1. It is found only in schizophrenia
2. It may be found in bipolar patients
3. Delusions are a form of thought disorder
4. Ideas of reference are a form of thought disorder

Correct answer: 2. It may be found in bipolar patients

Explanation: It may be found in bipolar patientsA Formal thought disorder is common in schizophrenia, although it is also encountered in mania and depression.B Forms of formal thought disorder characterized by a disturbance of the flow of ideation include thought blocking, poverty of speech, and flight of ideas.C Disturbances of thought continuity include circumstantiality, tangentiality, clang association, loose associations, derailment, and echolalia.D Concrete and illogical thinking are also forms of formal thought disorder.E Although certain forms of formal thought disorder are more frequently associated with specific psychiatric disorders (for example, tangentiality, flight of ideas, and clang association in mania, and illogical thinking and loose association in schizophrenia), no form of thought dis order appears to be disorder specific.F Delusions, obsessions, and ideas of reference are disturbances of thought content.